Lymphatic spread most commonly seen in which type of thyroid carcinoma?
1. Papillary
2. Medullary
3. Follicular
4. Lymphoma

Correct answer: 1. Papillary

Explanation: Ans. (a) Papillary(Ref: Robbins 9th/pg 1097-1098)Thyroid carinoma typeRoute of spreadPapillaryLymphaticFollicularHematogenousMedullaryRegional lymphatic spread and hematogeneous routes to distant sitesAnaplasticDirect